Which of the following is a 'nootropic' drug
1. Rivastigmine
2. Tacrine
3. Amantadine
4. Piracetam

Correct answer: 4. Piracetam

Explanation: Nootropic drugs are those that enhance memory. Piracetam is used for this function in patients with head injury.